Practices that have been repeated by a number of generation, practices that tend to be followed simply because they have been followed in the past. This refers to -
1. Habits
2. Beliefs
3. Customs
4. Convention

Correct answer: 3. Customs